NK cell CD marker is-
1. 16
2. 60
3. 32
4. 25

Correct answer: 1. 16

Explanation: Harshmohan textbook of pathology 7th edition NK cells carries surface molecules of CD2, CD16, CD56. But negative for T cell marker CD 3. .